Parallel shotgun appearance on Ultrasound is seen in
1. Portal hypertension
2. Biliary ascariasis
3. Obstructive jaundice
4. Sclerosing cholangitis

Correct answer: 3. Obstructive jaundice

Explanation: Distal CBD obstruction: Common bile duct gets distended due to obstruction & gives a "Double Barrel appearance" or "Parallel Shotgun sign" on USG